Which of the following is NOT a mechanism by which diabetes influences periodontium?
1. Hyperglycemia
2. Altered collagen metabolism
3. Altered neutrophil chemotaxis
4. Increased vascularity

Correct answer: 4. Increased vascularity